A Seldinger neeedle is used for -
1. Liver biopsy
2. Suturing skin
3. Arteriography
4. Lymphography

Correct answer: 3. Arteriography

Explanation: Ans. is 'c' i.e., Arteriography